The sensitive period for tetracycline induced discolouration in the permanent maxillary mandibular incisors and canines is
1. 3 months postpartum to 7th year of Life
2. 4 months in utero to 3 months postpartum
3. 5 months in utero to 9 months postpartum
4. Birth to 7th year

Correct answer: 1. 3 months postpartum to 7th year of Life